Which of the following hematological problems may be precipitated by parvovirus?
1. Haemolytic crisis
2. aplastic crisis
3. Pancytopenia
4. Thrombocytopenia

Correct answer: 2. aplastic crisis

Explanation: Parvo virus responsible for causing premature destruction of precursor cells in bone marrow Premature destruction of precursor cells - aplastic crisis If an individual develops parvovirus infection the number of cells which are being destroyed are relatively less In a situation in which say for example hemolytic anemia, the number of precursor cell percentage is very high, in this situation if a person develops parvovirus infection, leads to Sudden fall in hematocrit Eg: patient with sickle cell anemia or hereditary spherocytosis, if these patients develop parvovirus infection there will be a sudden fall in the hematocrit